Serum calcitonin is a marker for
1. Anaplastic carcinoma
2. Papillary carcinoma
3. Medullary carcinoma
4. Follicular carcinoma

Correct answer: 3. Medullary carcinoma